A 45 year old male presents to OPD with a bony pain. There is no history of trauma or drug abuse. Investigations revealed ESR of 140 and Hb -6 gm/dL. Peripheral smear is shown below . What type of chromosomal abnormality is associated with a favourable prognosis in this patient?
1. t (14:16)
2. t (4:14)
3. t(11,14)
4. Loss of 13q14

Correct answer: 3. t(11,14)

Explanation: A patient with bony pain, anemia, high ESR and rouleaux formation on peripheral smear is associated with likely diagnosis of multiple myeloma. The chromosomal anomaly likely to be seen in this patient with prognostic significance. Molecular Prognostic factors Cytogenetic abnormality of Multiple Myeloma Favorable PROGNOSIS Unfavorable PROGNOSIS t(11,14) t(4,14) t (6;14) t(14,16) Loss of 13q14